Which of the following is not a derivative of ventral mesogastrium?
1. Falciform ligament
2. Lesser omentum
3. Hepatoduodenal ligament
4. Gastrosplenic ligament

Correct answer: 4. Gastrosplenic ligament

Explanation: The abdominal part of the foregut is suspended by mesenteries both ventrally and dorsally. The ventral mesentery of the foregut is called the ventral mesogastrium, and the dorsal mesentery is called the dorsal mesogastrium (gastrzum-stomach). The ventral mesogastrium becomes divided by the developing liver into a ventral part and a dorsal part. The ventral part forms the ligaments of the liver, namely, (a) the falciform ligament, (b) the right and left triangular ligaments, and (c) the superior and inferior layers of the coronary ligament. The dorsal part of the ventral mesogastrium forms the lesser omentum Ref : B D Chaurasia's Human Anatomy , seventh edition, volume 2 , pg. no. 256